Alkali injury to eye causes
1. Globe perforation
2. Retinal detachment
3. Optic neuritis
4. Symblepharon

Correct answer: 4. Symblepharon

Explanation: Symblepharon is adhesion of bulbar conjunctiva with palpebral conjunctiva Refer Khurana 6th edition page number 374